Cardiac manifestations can be seen in all of the following metabolic diseases EXCEPT?
1. Fatty acid oxidation defects
2. Mitochondrial disorders
3. Fabry disease
4. Galactosemia

Correct answer: 4. Galactosemia

Explanation: Cardiac manifestations can be seen in: Fatty acid oxidation defects Mitochondrial disorders Fabry disease Pompe disease (GSD type 2) Kearns Sayre syndrome Mucoplysaccharidoses Methylmalonic acidemia Familial hypercholesterolemia GM1 gangliosidosis. Cardiac manifestations are not seen in Galactosemia.